Which of the following demonstrates highest correlation between variables?
1. r = + 0.25
2. r = + 0.5
3. r = - 0.75
4. r = + 2

Correct answer: 3. r = - 0.75